Earliest feature of dhatura poisoning -
1. Hyperpyreia
2. Dialted pupils
3. Mental confusion
4. Bitter taste

Correct answer: 4. Bitter taste

Explanation: Clinical Features of datura * Dryness of mouth (dry as bone) * Bitter taste * Difficulty in talking * Dysphagia--- these are first noted * Dilated pupils * Diplopia * Difficulty in vision (blurring of vision, blind as bat) * Dry hot skin with flushing (red as beet) * Hyperpyrexia (hot as hare) * Drunken gait (ataxia) * Hyperreflexia * Convulsions * Delirium, hallucinations, agitation, amnesia, incoherence, visual or auditory hallucinations (mad as a hen) * Deficit of recent memory. Remote memory undisturbed * Dysuria * Distention of bladder (retention of urine) * Death. REF;THE SYNOPSIS OF FORENSIC MEDICINE:KS NARAYANA REDDY;28th EDITION;PAGE NO 344